Which of the following statement is true about NetProtein Utilization?
1. It is the ratio of energy from protein to total energy in diet
2. It is the ratio of total nitrogen retained by total nitrogen intake multiplied by 100
3. It is the amount of one amino acid per gram of a protein divided by the amount of same amino acid per gram of egg protein
4. If the NPU is high the amount of protein

Correct answer: 2. It is the ratio of total nitrogen retained by total nitrogen intake multiplied by 100

Explanation: It is the ratio of total nitrogen retained by total nitrogen intake multiplied by 100/Ref. Park 20/e, p 549 (19/e p503)1 Repeat from Nov 08 Net Protein Utilization (NPU): NPU is a method of assessing protein quality. It is the ratio of amino acid converted to proteins to the ratio of amino acids supplied. Experimentally, this value can be determined by determining dietary protein intake and then measuring nitrogen excretion. One formula for NPU is: NPU = Nitrogen retained by the body/ Nitrogen intake X 100 As a value, NPU can range from 1 to 0, with a value of 1 indicating 100% utilization of dietary nitrogen as protein and a value of 0 an indication that none of the nitrogen supplied was converted to protein. Certain foodstuffs, such as eggs or milk, rate as I on an NPU chart. The NPU gives a more complete expression of protein quality than the amino acid score. The protein requirement varies with the NPU of dietary protein. If NPU is high, the protein requirement is low and vice versa. Amino acid score: Other method of assessing protein quality is amino acid score. Amino acid score is a measure of the concentration of each essential amino acid in the test protein expressed as a percentage of that amino acid in the reference protein (usually egg protein) Amino acid score Number of mg of one amino acid per g of protein/Number of mg of the same amino acid per g of egg protein X 100 Also Know Protein Digestibility Corrected Amino Acid Score (PDCAAS): Protein Digestibility Corrected Amino Acid Score is a method of evaluating the protein quality based on the amino acid requirements of humans. It has been adopted by FAO/WHO as the preferred method for the measurement of the protein quality in human nutrition. The method is based on comparison of the concentration of the first limiting essential amino acid in the test protein with the concentration of that amino acid in a reference (scoring) pattern. This scoring pattern is derived from the essential amino acid requirements of the preschool-age child. The chemical score obtained in this way is corrected for true fecal digestibility of the test protein. A PDCAAS value of 1 is the highest, and 0 the lowest as the table demonstrates the ratings of common foods below. - whey 1.0 - egg white 1.0 - asein 1.0 - milk 1.0 The Protein Digestibility Corrected Amino Acid Score (PDCAAS) is superior to other methods for evaluating the protein quality of food proteins for humans because it measures the quality of a protein based on the amino acid requirements of a 2- to 5-year old child (the most demanding age group), adjusted for digestibility. PDCAAS is based on a food protein's amino acid content, its true digestibility, and its ability to supply indispensable amino acids in amounts adequate to meet the amino acid requirements of a 2- to 5-year old child, the age group used as the standard